Which of the following is not seen in HIV in involvement of CNS -
1. Perivascular giant cell
2. Vacuolar degeneration of post column
3. Microglial nodule formation
4. Inclusion bodies

Correct answer: 4. Inclusion bodies

Explanation: . Inclusion bodies